Which of the following features is not seen ileocaecal tuberculosis?
1. Pulled up caecum
2. Apple core appearance
3. Obliteration of angle between ileum and caecum
4. Narrowing of distal end of caecum

Correct answer: 2. Apple core appearance

Explanation: Ans. Apple core appearance